Most common site for metastasis in choriocarcinoma
1. Lungs
2. Brain
3. Liver
4. Spine

Correct answer: 1. Lungs